All of the following are methods of health promotion except-
1. Immunization
2. Nutritional changes
3. Behavioral changes
4. Health education

Correct answer: 1. Immunization

Explanation: Ans. is 'a' i.e., Immunization o All the given options are examples of primary prevention. o Primary prevention has two main components :- i) Health promotion ii) Specific protection Mode of intervention of Primary prevention Health promotion Specific protection Health education 1. Immunization Environmental modifications 2. Use of specific nutrients iron and folic acid tablet Nutritional intervention 3. Chemoprophylaxis Life style and behavioral changes 4. Protection against occupational Hazards Protection against accident Protection from carcinogens Avoidance of allergens Control of specific Hazards in general environment e.g. air pollution, noise control Control of consumer product quality and safety of food and drug Using a mosquito net Contraception